A 36 year old male patient has reported to you with swelling in the submandibular region. His tongue is elevated and he complains of dysphagia. He has high fever. Intra oral examination reveals grossly destructed lower first molar.

The surgical Line of treatment may be
1. Extraction of the involved tooth
2. Incision and drainage
3. Placement of drain
4. All of the above

Correct answer: 4. All of the above